Which of the following drugs is used in lung cancer is also used in ovarian carcinoma?
1. Cisplatin
2. Methotrexate
3. Cyclophosphamide
4. Dacarbazine

Correct answer: 1. Cisplatin

Explanation: Cisplatin in combination with cyclophosphamide, with or without the addition of doxorubicin, rapidly became the standard treatment for ovarian cancer. Cisplatin has been widely used in the treatment of lung cancer, head and neck cancer, and carcinoma of the cervix. Cisplatin is a DNA damaging agent used in the treatment of ovarian cancer. Cisplatin treatment causes induction of p53, cleavage of PARP and activation of caspase-2 in ovarian cancer. Ref: Involvement of Caspase-2 in Cisplatin-induced Cell Death in 2008 Ovarian By Brett T. Adkins, 2008, Page 21 ; Shaw, 13th ed, Page 415